All of the following cause Microcytic Hypochromic anemia except:
1. Lead poisoning
2. Thalassemia
3. Iron deficiency anemia
4. Fanconi's anemia

Correct answer: 4. Fanconi's anemia

Explanation: Answer is D (Fanconi's Anemia) Fanconi's anemia is congenital disorder responsible for a form of aplastic anemia. It does not produce a microcytic hypochromic picture. It causes a normocVtic normochromic anemia. Lead poisoninz Lead causes inhibition of several enzymes involved in haem synthesis including ALA synthetase and leads to sideroblastic anemia with a microcytic hypochronic anemia. The characteristic haematological features of lead poisoning include: Sideroblastic anemia Q Haemolysis Q Punctate basophilia Q